Lateral condylar guidance is
1. L = 12+d / H
2. L = H+d / 12
3. L = H/8 + 12
4. L = H+d / 4

Correct answer: 3. L = H/8 + 12